Which of the following is the drug of choice for the treatment of syndrome of inappropriate Antidiuretic Harmone secretion?
1. Demeclocycline
2. Vasopressin
3. Thiazide diuretics
4. Chloropropamide

Correct answer: 1. Demeclocycline

Explanation: SIADH is due to excessive secretion of anti-diuretic hormone. It is diametrically opposite disease to diabetes insipidus. Vasopressin, Thiazide and chloropropamide are used for the treatment of diabetes insipidus whereas demeclocycline is used for SIADH management.Now-a-days,vasopressin receptor antagonists like tolvapton and conivaptan are preferred for SIADH.